Drug of choice for the treatment of peptic ulcer caused due to chronic use of NSAIDs is:
1. Pirenzepine
2. Loxatidine
3. Misoprostol
4. Esomeprazole

Correct answer: 4. Esomeprazole

Explanation: Proton pump inhibitors: are DOC for :-- PUD of any reason- GERD- Zollinger Ellison Syndrome Misoprostol is specific drug for NSAIDs induced peptic ulcer.